Epiretinal membrane is seen in
1. Posterior vitreous detachment
2. Optic neuritis
3. Papilloedema
4. Glaucomatous optic atrophy

Correct answer: 1. Posterior vitreous detachment

Explanation: Answer- A. Posterior vitreous detachmentEpiretinal membrane is a disease of the eye in response to changes in the vitreous humor or more rarely, diabetes. It is also called macular pucker.Immune system response to protect the retina, cells converge in the macular area as the vitreous ages and pulls away in posterior vitreous detachment (PVD).